Stimulus for insulin secretion is-
1. Somatostatin
2. Growth hormone
3. Diuretics
4. a-agonist

Correct answer: 2. Growth hormone

Explanation: Ans. is 'b' i.e., Growth hormone * Factors affecting insulin secretion arei) Simulating insulin secretion :- Glucose, mannose; amino acids (arginine, leucine); Intestinal hormones (GIP, gastrin, secretin, CCK, GLP-1); b-keto acids; Parasympathetic stimulation (acetylcholine); cAMP; b-adrenergic stimulation; theophylline; sulfonylureas; and certain endocrine hormones like growth hormone, glucagon and glucocorticoids.ii) Inhibiting insulin secretion Somatostatin; 2-deoxyglucose; Mannoheptulose; a-adrenergic stimulation, b-adrenergic inhibitors; Galanin; Diazoxide; Thiazide diuretics; K+ depletion; Phenytoin; Alloxan; Microtubule inhibitors; and insulin itself.